For a screening test, 90% specificity means that 90% of non-diseased persons will give a ?
1. True negative result
2. True positive result
3. False negative result
4. False positive result

Correct answer: 1. True negative result

Explanation: Ans. is 'a' i.e., True negative result